Most common cause of hypercapnic respiratory failure: March 2011,'Parch 2013 (a, b, h)
1. Acute asthma
2. Aspergillosis
3. COPD
4. Pneumothorax

Correct answer: 3. COPD

Explanation: Ans. C: COPD Causes of type II (hypercapnic) respiratory failure: Chronic causes: COPD, sleep apnea, kyphscoliosis, myopathies/ muscular dystrophies, ankylosing spondylitis; Acute causes: Acute severe asthma (NOT acute asthma), acute exacerbation of COPD, upper airway obstruction, narcotic drugs etc. Type II respiratory failure: Reduced PaO2 Increased PaCO2 Normal P(A-a)O2 Hypoxemia with increased PaCO2 Type I respiratory failure: Reduced PaO2 Normal/ decreased PaCO2 INcreased P(A-a)O2 Hypoxemia with decreased PaCO2